Complication of positive pressure ventilation –
1. Pneumothorax
2. Bradycardia
3. Decreased ventilation
4. Arrhythmias

Correct answer: 1. Pneumothorax

Explanation: PEEP & CPAP can cause barotrauma which may result in pneumothorax, pneumoperitoneum, penumopericardium/ cardiac tamponade.